Most common cause of abdominal mass in neonates is?
1. Neuroblastoma
2. Multicystic dysplastic kidney
3. Polycystic kidney
4. Umbilical hernia

Correct answer: 2. Multicystic dysplastic kidney

Explanation: b. Multicystic dyspiastic kidney(Ref: Nelson's 20/e p 2513)Multicystic dyspiastic kidneyQ is the most common cause of abdominal mass in a neonate.